Regarding syphilis, all are true, except -a) VDRL titre decreases or even absent after treatmentb) VDRL becomes positive after 10-14 days of infectionc) Earliest serological test to become positive in untreated primary syphilis is TPHAd) Yaws and Pinta cannot be differentiated
1. bc
2. c
3. ac
4. ad

Correct answer: 1. bc